Epidemic hemorrhage conjuctivitis is caused by -
1. HSV
2. HZV
3. HIV
4. Picornavirus

Correct answer: 4. Picornavirus

Explanation: Epidemic hemorrhagic conjunctivitis id caused by a picornavirus(enterovirus type70) REF:
MICROBIOLOGY ANANTHA NARAYANAN NINTH EDITION PAGE493